The pathognomonic feature of classic alport syndrome is:
1. Lenticonus and hematuria
2. Hematuria and sensorineural hearing loss
3. Sensorineural hearing loss and lenticonus
4. Hematuria and hyperextensibility of joints

Correct answer: 1. Lenticonus and hematuria

Explanation: The diagnosis of classic alport syndrome is based on X-linked inheritance of hematuria, sensorineural hearing loss, and lenticonus. The lenticonus together with hematuria is pathognomonic of classic Alport syndrome. Reference: Harrisons Principles of Internal Medicine, 18th Edition, Pages 3213-14